Deficiency of enzyme in Tay–Sack disease –
1. Galactosidase
2. Hexosaminidase
3. Acid lipase
4. Glucosidase

Correct answer: 2. Hexosaminidase